Which of the following antigen is found within the nuclei of infected hepatocytes and NOT usually in the peripheral circulation in Hepatitis B infection?
1. HBeAg
2. HBcAg
3. Anti-HBc
4. HBsAg

Correct answer: 2. HBcAg

Explanation: HBcAg is assembled as the nucleocapsid core particles. It is not secreted and does not circulate in blood, but can be demonstrated in hepatocytes by immunofluorescence. - HBcAg is not demonstrable in circulation because it is enclosed within the HBsAg coat. But its antibody anti-HBc appears in serum a week or two after the appearance of HBsAg. Reference : Anathanarayan & paniker's 9th edition, pg no: 544,546